Osmoreceptor is located at which site -
1. Anterior hypothalamus
2. Renal medulla
3. Carotid body
4. Atrial chamber

Correct answer: 1. Anterior hypothalamus

Explanation: A i.e. Anterior hypothalamus